All of the following muscles are used for the retraction of scapula, EXCEPT:
1. Trapezius
2. Rhomboideus major
3. Rhomboideus minor
4. Levator scapula

Correct answer: 4. Levator scapula

Explanation: The levator scapula muscle attaches to the cervical vertebrae and the superior angle of the scapula, causing elevation and downward rotation of the scapula. Trapezius elevates, retracts, depresses, and rotates scapula. The rhomboid muscles attach to the spinous processes of C7-T5 and the medial border of the scapula, resulting in scapular retraction. Ref: Morton D.A., Foreman K.B., Albertine K.H. (2011). Chapter 1. Back. In D.A. Morton, K.B. Foreman, K.H. Albertine (Eds), The Big Picture: Gross Anatomy.